All the following are true about HIV except -
1. A DNA virus belonging to lentivirus
2. Attacks CD4 lymphocytes
3. CD4: CD8 ratio is reversed
4. Mostly spread by heterosexual contact

Correct answer: 1. A DNA virus belonging to lentivirus

Explanation: Ans. is 'a' i.e., A DNA virus belonging to lentivirus . HIV is a RNA virus, belongs to family retroviridae and subfamily of lentivirus.